What is the formula for parenteral iron therapy in adults?
1. 4.4. x body weight (kg) x Hb deficit (g/dl)
2. 3.3. x body weight (kg) x Hb deficit (g/dl)
3. 2.2 x body weight (kg) x Hb deficit (g/dl)
4. 1.1 x body weight (kg) x Hb deficit (g/dl)

Correct answer: 1. 4.4. x body weight (kg) x Hb deficit (g/dl)

Explanation: Parenteral iron therapy needs calculation of the iron requirement of the patient. Iron requirement (mg) = 4.4 x body weight (kg) x Hb deficit (g/dl). This formula includes iron needed for replenishment of stores. Iron stores can be replenished in a shorter time by parenteral therapy. Ref: Essentials of Medical Pharmacology by KD Tripathi, 5th edition, Page 549.